The number of symphyseal cartilages appearing during the development of mandible
1. Two
2. Three
3. Four
4. One

Correct answer: 1. Two